In which of the following tumors alpha fetoprotein is elevated -
1. Choriocarcinoma
2. Neuroblastoma
3. Hepatocellular carcinoma
4. Seminoma

Correct answer: 3. Hepatocellular carcinoma

Explanation: Ans. is 'c' i.e., Hepatocellular carcinomaRepeated many times